APGAR stands for
1. Appearance, Pulse rate, Growth, Activity, Respiratory rate
2. Appearance, Pulse rate, Grimace, Activity, Respiratory rate
3. Appearance, Pulse rate, Grimace, Activity, Respiratory  effort.
4. Activity, Pulse rate, Grimace, Activity, Respiratory effort.

Correct answer: 3. Appearance, Pulse rate, Grimace, Activity, Respiratory  effort.